All of the following statements are true about Juxtafoveal Retinal Telangiectasias, Except -
1. Variant of Coat's disease
2. Associated with telangiectasias in the macula
3. Associated with structurally abnormal Retinal Vessels
4. Associated with peripheral telangiectasias

Correct answer: 4. Associated with peripheral telangiectasias

Explanation: Idiopathic juxtafoveal telangiectasia type II (aka macular telangiectasia) is a rare idiopathic condition that is characterized by telangiectatic vessels in the juxtafoveolar region, most commonly temporal to the fovea, of both eyes. ... OCT will show subfoveal cystoid spaces without cystoid macular edema. Ref AK khurana 6/e